Perineal hematoma after trauma is due to?
1. Rupture of membranous urethra
2. Rupture of bulbar urethra
3. Pelvic organ blunt trauma
4. Rupture of bladder

Correct answer: 2. Rupture of bulbar urethra

Explanation: ANSWER: (B) Rupture of bulbar urethraREE: Sabiston Textbook of Surgery, 18th ed chapter 77Bulbar urethral injuryMembranous urethral injuryMore commonLess commonDue to direct blow to perineumBlunt trauma to pelvis and fractureRetention of urine seenRetention of urine seenBlood at urethral meatusBlood at urethral meatusPerineal hematomaPelvic hematomaSuperficial extravasation of urine into superficial perineal pouch and then passes into scrotum, penis and anterior abdominal wallDeep extravasation of urine into perivesical space